The Millennium Development Goal is to be reached by:
1. 2000
2. 2015
3. 2017
4. 2020

Correct answer: 2. 2015

Explanation: The road map of The Millennium Development Goal with established goals and targets is to be reached by year 2015. 189 member countries have set a date of 2015. Ref: Park's textbook of Preventive and Social Medicine, 21stedition, page-11.